Special stain for Amyloid which is most diagnostic -
1. Lugol’s Iodine
2. Sudan black
3. Congo red polarized light
4. Congo red in Illumination

Correct answer: 3. Congo red polarized light

Explanation: Congo red is not used in lipid staining. It is used in the staining of amyloid protein.